Facial nerve exits the skull through
1. Stylomastoid foramen
2. Internal acoustic meatus
3. Foramen Lacerum
4. Foramen Rotundum

Correct answer: 1. Stylomastoid foramen

Explanation: Facial nerve enters the temporal bone through - Internal acoustic meatus Facial nerve exits the skull through - Stylomastoid foramen. Ref: PL Dhingra, Diseases of Ear, Nose & Throat, 7th edition, pg no. 99